The most common precancerous lesion for oral  malignancy is
1. chronic hypertrophic candidiasis
2. leukoplakia
3. dental ulcers
4. atrophic glossitis

Correct answer: 2. leukoplakia